Nasolacrimal duct opens into the -
1. Supreme meatus
2. Superior meatus
3. Middle meatus
4. Inferior meatus

Correct answer: 4. Inferior meatus

Explanation: Ans. is 'd' i.e., Inferior meatus